Chemoprophylaxis is not indicated in which of the following -
1. Measles
2. Cholera
3. Meningococcemia
4. Plague

Correct answer: 1. Measles

Explanation: Ans. is 'a' i.e., Measles